Suction evacuation as MTP is best done upto___ weeks of gestation
1. 9
2. 12
3. 18
4. 24

Correct answer: 2. 12

Explanation: Ans. is 'b' i.e., 12 Surgical Technique for MTP (Suction Evacuation/Manual Vacuum Evacuation)* It is allowed up to 12 weeks of gestation.Complications1. Uterine hemorrhage: It occurs in 1-4% cases.2. Pelvic infection: It ranges from 0.1 % to 1.5%. It is due to incomplete evacuation and improper aseptic technique. The incidence can be reduced to a great extent by prophylactic use of antibiotic.3. Cervical injury: This complication occurs in 0.01-1% cases.4. Uterine perforation: This is the most dangerous complication, but fortunately it happens very rarely in 0.1-0.28% cases.5. Retained products: Incomplete abortion happens in 24% cases.6. Continuation of pregnancy: In about 1% cases.